Which drug is used for Achalasia cardia-
1. Nifedipine
2. Propranolal
3. Atenolol
4. Bethnecol

Correct answer: 1. Nifedipine